Which of the following is false about Ablative procedures in Abnormal uterine bleeding?
1. Safe, effective with less morbidity
2. Quicker recovery
3. Fertility is preserved
4. Method destroys 2-3mm of myometrium

Correct answer: 3. Fertility is preserved

Explanation: Fertility is preserved is a false statement. Fertility is not possible following ablative procedures. Ablative procedures are safe, effective with less morbidity, and quicker recovery, and the method destroys 2-3mm of myometrium. NovaSure (impedence-controlled ablation) is the latest and most safe procedure, taking just 90 sec. It used bipolar radiofrequency and vaporizes endometrium up to myometrium. Ref: Shaw's textbook of Gynaecology 17th edition Pgno: 136